Which is true about somatic death -a) Cooling of the bodyb) Cessation of spontaneous respirationc) Cessation of circulationd) Flat isoelectric E.E.G.e) Deep unconsciousness with no response to external stimuli or internal need
1. abc
2. acd
3. ac
4. bcde

Correct answer: 4. bcde

Explanation: Cooling of the body is an early sign of molecular death (not somatic death).
In somatic death, there is a complete cessation of spontaneous respiration, circulation and brain function with flat EEG.
A person is unconscious with no response to external stimuli or internal need. It should be remembered that though the dead person does not respond to external stimuli in somatic death, the individual muscles may respond to external stimuli, e.g. contraction of muscles on electric stimuli or contraction of the pupil in response to a miotic drug. This is due to the persistence of anaerobic enzymatic process.